Which radionuclide is most commonly used for Infarct scanning
1. Tc-99m pyrophosphate
2. Tc-99m Sestamibi
3. Tc-99m Sulfur Colloid
4. Tc-99m Red blood cells

Correct answer: 1. Tc-99m pyrophosphate

Explanation: Tc-99m pyrophosphate is used most commonly.
Infarct appears as Hotspot.